Ligamentus arteriosus is a remnant of -
1. Ductus arteriosus
2. Ductus caroticus
3. Ductus venosus
4. None

Correct answer: 1. Ductus arteriosus

Explanation: A i.e. Ductus arteriosus